Which one of the following phenomenon is not associated with slow wave sleep?
1. Somniloquy
2. Somnambulism
3. Sleep Atonia
4. Sleep enuresis

Correct answer: 3. Sleep Atonia

Explanation: NREM/Slow wave sleep disorders- Seen in stage 3 and 4. Somnambulism- sleep walking Somniloquy - sleep talking Sleep enuresis Night terror Bruxism (stage 2) Features of REM sleep: Sleep Atonia Dreaming Irregular heart rate